True about asthma -a) Increasing incidence day by dayb) Allergic asthma common in older patientsc) Increase in IgE in idiosyncratic asthmad) Bronchoconstriction
1. b
2. c
3. ad
4. ab

Correct answer: 3. ad